Primary level of prevention is?
1. Prevention of emergence of risk factors
2. Prevention of disease in Pre-pathogenesis phase
3. Prevention of disease in incipient stage
4. Prevention of disability and rehabilitation

Correct answer: 2. Prevention of disease in Pre-pathogenesis phase

Explanation: Modes Primordial Before the emergence of risk factor Health education Primary Risk factor but no disease yet Health promotion, specific protection Secondary Disease possible started in the body Early diagnosis, Treatment Tertiary Disease is already in progression Disability limitation , Rehabilitation